Which of the following is false about testicular tumor
1. Pure seminoma is more aggressive than nonseminoma
2. Seminoma is radiosensitive
3. Seminoma can be treated by orchidectomy with radiotherapy
4. Seminoma spreads commonly through lymphatics

Correct answer: 1. Pure seminoma is more aggressive than nonseminoma

Explanation: Seminomas tend to remain localised to the testis while non-seminomatous germ cell tumours more often present with advanced clinical disease. Seminomas are extremely radiosensitive while non-seminomatous germ cell tumours are radio-resistant. In general, seminomas have a better prognosis with 90 % cure rate while the non-seminomatous tumours behave in a more aggressive manner and have poor prognosis .Reference : page 709 textbook of pathology Harshmohan 6th edition